SSPE is a rare complication of ?
1. Mumps
2. Measles
3. Rubella
4. Influenza

Correct answer: 2. Measles

Explanation: Ans. is 'b' i.e., Measles Subacute sclerosing panencephalitis (SSPE) is a rare complication of measles, which develops many years after the initial infection - PSM The most common complications are : measles- associated diarrhea, pneumonia and otitis media -PSM